Which file is used along with irrigation for ultrasonic system?
1. 8
2. 10
3. 15
4. 20

Correct answer: 3. 15